Gold poisoning leading to exfoliative dermatitis is treated by –
1. Chloroquin
2. Steroid
3. Antibiotics
4. Antihistaminics

Correct answer: 2. Steroid

Explanation: Topical corticosteroids are the primary category of medications used to treat exfoliative dermatitis.